Antiseptic surgery was introduced by:
1. Godfrey.
2. Allen.
3. Lister.
4. Johann Radon.

Correct answer: 3. Lister.